Which of the following cranial nerve nuclei is not a part of the special visceral afferent (SVA) column?
1. Facial nerve
2. Trochlear nerve
3. vagus nerve
4. Glossopharyngeal nerve

Correct answer: 2. Trochlear nerve

Explanation: Trochlear nerve nucleus is not a part of the special visceral affferent column. It is a motor nerve that innervates superior oblique muscle in the orbit. Its nucleus is a part of the general somatic efferent (GSE) column. The neurons of the general somatic efferent (GSE) column innervate th extrinsic ocular muscles of the tongue= III, IV, VI and XII cranial nerves. Functional component Cranial Nerves General Somatic Efferent (SE/GSE) 3,4,6,12 Special Visceral Efferent (SVE/BrE) 5,7,9,10,11 General Visceral Efferent (GVE) 3,7,9,10 General Viseral Afferent (GVA) 7,9,10 Special Visceral Afferent (BrA/SVA) 7,9,10 General somatic Afferent (SA/GSA) 5,7,9,10 Special Somatic Afferent (SSA) 8 GVE represents the parasypathetic supply; so all cranial nerves having parasympathetic fibers, have the GVE component. Ref: Gray's Anatomy 41st edition Pgno: 232